All of the following anticancer drugs are Cell cycle NON-specific EXCEPT:
1. Doxorubacin
2. Vincristine
3. Mitomycin-C
4. Cyclophosphamide

Correct answer: 2. Vincristine

Explanation: Ans. B i.e. Vincristine Mechanism of action of Vincristine Tubulin is a structural protein that polymerizes to microtubules. The cell cvtoskeleton and mitotic spindle, among other things, are made of microtubules. Vincristine binds to tubulin dimers, inhibiting assembly of microtubule structures. Disruption of the microtubules arrests mitosis in metaphase. Therefore, the vinca alkaloids affect all rapidly dividing cell types including cancer cells, but also those of intestinal epithelium and bone marrow.